Renal excretion of lithium is reduced by
1. Furosemide
2. Indomethacin
3. Hydrochlorothiazide
4. All of the above

Correct answer: 4. All of the above

Explanation: ANTIMANIC AND MOOD STABILIZING DRUGS (Drugs for bipolar disorder) LITHIUM CARBONATE Drug Interactions :- 1. Diuretics (thiazide, furosemide) by causing Na+ loss promote proximal tubular reabsorption of Na+ as well as Li+ - plasma levels of lithium rise. Potassium sparing diuretics cause milder Li+ retention. 2. Tetracyclines, NSAIDs and ACE inhibitors can also cause lithium retention. 3. Lithium reduces pressor response to NA. 4. Lithium tends to enhance insulin/sulfonylurea induced hypoglycaemia. 5. Succinylcholine and pancuronium have pro duced prolonged paralysis in lithium treated patients. 6. Neuroleptics, including haloperidol, have been frequently used along with lithium without problem. However, sometimes, the combination of haloperidol and lithium produces marked tremor and rigidity. The neuroleptic action appears to be potentiated by lithium. Ref:- kd tripathi; pg num:-449